True statement about sebaceous cyst:-
1. Arise in the epidermis
2. Mobile over skin
3. Commonly seen in scalp
4. Rarely contains central punctum

Correct answer: 3. Commonly seen in scalp

Explanation: Generally sebaceous cyst is derived from infundibulum of hair follicles / caused by traumatic inclusion Sites are scalp, face, trunk and scrotum Usually sebaceous cyst contains a punctum (except scalp and scrotum) Skin is fixed over the cyst